In which of the following conditions is a person held responsible for a crime -
1. Alcoholic paranoia
2. Delirium tremens
3. Voluntary drunknness
4. Dhatura intoxication

Correct answer: 3. Voluntary drunknness

Explanation: Voluntary intoxication is no excuse for commission of crime.